All of the following are used to assess the nutritional status titan individual , except -
1. Urinary nitrogen excretion
2. Mid arm circumference
3. Serum immuringlobul in
4. Scrum transterrin

Correct answer: 3. Serum immuringlobul in

Explanation: Ans. is 'c' i.e., Serum immunogloholin